A 26 years old male with restriction of eye movements in all directions and moderate ptosis but with no diplopia or squint. Diagnosis is:
1. Thyroid ophthalmopathy
2. Chronic progressive external ophthalmoplegia
3. Myasthenia gravis
4. Multiple cranial nerve palsies

Correct answer: 2. Chronic progressive external ophthalmoplegia

Explanation: Ans. Chronic progressive external ophthalmoplegia